Fat embolism is characterized by:
1. Petecheal haemorrhages
2. Closed fractures of femur
3. Aggregation of chylomicrons
4. All

Correct answer: 4. All

Explanation: A i.e. Petecheal haemorrhages; B i.e. Closed fractures of femur, C i.e. Aggregation of chylomicrons